Stain used for tissue fungus study is -
1. PAS
2. Von kossa
3. Alizarin red
4. LPCB

Correct answer: 1. PAS

Explanation: 1- Lactophenol cotton blue stain 2- Fungi are very easily visualized in a PAS reaction with Schiff's reagent, this method now being a standard 3- PAS and methenamine silver staining for histological specimens